A 45 year old female is having bilateral ovarian mass, ascites and omental caking on CT scan. There is high possibility that patient is having:
1. Benign ovarian tumor
2. Malignant epithelial ovarian tumor
3. Dysgerminoma of ovary
4. Lymphoma of ovary

Correct answer: 2. Malignant epithelial ovarian tumor

Explanation: Advanced epithelial ovarian cancer often completely replaces the omentum, forming an "omental cake." This disease may be adherent to the parietal peritoneum of the anterior abdominal wall, making entry into the abdominal cavity difficult. Omental caking is a term used to describe an abnormally thickened appearance of the omentum. This is due to infiltration of metastatic tumors arising from the ovary but may be from Ca stomach and TB peritonitis also.